Parathyroid auto-transplantation is done in which of the following muscle?
1. Brachioradialis
2. Biceps
3. Triceps
4. Sartorius

Correct answer: 1. Brachioradialis

Explanation: Hypoparathyroidism Surgical cause of hypoparathyroidism is Auto thyroidectomy (whole of thyroid is removed) MCC of hypoparathyroidism: Autoimmune Post thyroid surgery, > 72 hours tetany develops leading to laryngospasm. So, to prevent this, auto-transplantation in Brachioradialis is done